Earliest radiological change in RA:
1. Decreased joint space
2. Articular erosion
3. Periarticular osteopenia
4. Subchondral cyst

Correct answer: 3. Periarticular osteopenia

Explanation: Radiological features of RA Evidence of soft tissue swelling and joint effusion Symmetrical involvement Juxta-articular osteopenia (within weeks) Loss of articular cartilage and bone erosions (after months) Narrowing of joint space Articular destruction and joint deformity, e.g. subluxation of atlantoaxial and cervical joints Lack of hypertrophic bone changes (sclerosis or osteophyte)